Which of the following bacteria survives holder's method of pasteurization
1. Brucella
2. Bacillus anthracis
3. Coxiella burnetti
4. E coli

Correct answer: 3. Coxiella burnetti

Explanation: Coxiella burnetti survives holder method but killed by flash method of pasteurization.